Dose of streptokinase to be used in MI is ?
1. 0.15 Million units
2. 1.5 Million units
3. 15 Million units
4. 150 Million units

Correct answer: 2. 1.5 Million units

Explanation: Answer- B. 1.5 Million unitsThe adult dose of streptokinase for Acute Myocardial Infarction is 1.5 million U lV over 60 minutes.